What is not caused by platelet activating factor?
1. Vasoconstriction
2. Bronchodilation
3. Causes platelet aggregation
4. Transmits signals between cells

Correct answer: 2. Bronchodilation

Explanation: Ans. (b) Bronchodilation(Ref: R 9th/pg 89; 8th/pg 59)PAFProduced by: platelets, basophils, mast cells, neutrophils, macrophages, and endothelial cellsFunctions: platelet aggregation, vasoconstriction and bronchoconstriction. QAt low concentrations it induces vasodilation and increased venular permeabilityTransmits signals between cells